In a bimodal series, if mean is 2 and median is 3, what is the mode?
1. 5
2. 2.5
3. 4
4. 3

Correct answer: 1. 5

Explanation: In a bimodal series, Mode = 3 Median -2 mean In the given question, mean is 2 and median is 3 Thus Mode = 3(3) -2(2) = 9 - 4 = 5